A second choice of tooth isolation is by:
1. Cotton rolls
2. Cotton roll holders
3. Absorbent wafers
4. All of the above

Correct answer: 4. All of the above

Explanation: Partial  isolation  with  cotton  rolls,  absorbent  wafers  and saliva  ejector  provides  rapid  and  effective  control  of  the operative field for some limited procedures in  which absolute dryness  is not required.